Coloured urine is not seen in :
1. Quinine
2. Rifampcin
3. Nitrofurantoin
4. Pyridium

Correct answer: 1. Quinine

Explanation: Answer is A (Quinine) Quinine is not associated with discoloured urine.